What is the Goal of Prudent diet for prevention of Coronary heart disease?
1. Cholesterol: HDL ratio <3.5
2. Cholesterol; HDL ratio <6.5
3. Cholesterol: HDL ratio >3.5
4. Cholesterol: HDL ratio >6.5

Correct answer: 1. Cholesterol: HDL ratio <3.5

Explanation: Goal of WHO Prudent diet is to Reduce Cholesterol: HDL ratio <3.5 Prudent diet: Dietary modification is the principle preventive strategy in the prevention of CHD. WHO recommended changes: Reduction of fat intake to <20-30% of total energy intake Consumption of saturated fats <7% of total energy intake Reduction in cholesterol intake to <200 mg/day Increase in complex carbohydrate consumption Reduction of salt intake to < 5 gms per day Avoidance of alcohol consumption. Extra edge: Balanced diet contain: Proteins -10-15 % of daily energy intake Fats - 15-30 % Carbohydrates - constitute remaining energy.